Coffee bean sign is usually seen in
1. Volvulus
2. Pyloric obstruction
3. Intussuception
4. Intestinal obstruction

Correct answer: 1. Volvulus

Explanation: Volvulus is twisting of a segment of the intestine on an axis formed by its mesentery. This results in partial or complete obstruction of the lumen of bowel.
Volvulus of colon is the second most common cause of complete colonic obstruction after Ca colon and most commonly involves the sigmoid colon.
On a plain film of the abdomen sigmoid volvulus is seen as
a large inverted U shape loop of massively distended sigmoid colon is seen emerging from the pelvis. This is k/a bent inner tube or coffee bean appearance.
haustra are absent.
apex of the loop lies under the left diaphragm.
Gastrograffin enema shows a narrowing at the site of the volvulus k/a bird of prey sign or bird's beak appearance.